Oxaloacetate + Acetyl CoA Citrate + CoASHThis reaction is:
1. Reversible
2. Irreversible
3. Can be reversed by catalase
4. Competitive

Correct answer: 2. Irreversible

Explanation: B i.e. IrreversibleFormation of Citric Acid from Acetyl -COA and Oxaloacetate (OAA) is 1st and irreversible step of TCA, giving 7.8 K cal (exergonic reactionQ)